Investigations in a clinically suspected case of tuberculosis -
1. Mantoux (in children)
2. Sputum AFB
3. Bactec
4. All of the above

Correct answer: 4. All of the above